Obturator nerve enters thigh at
1. Adductor canal
2. Obturator canal
3. Superficial inguinal ring
4. Femoral canal

Correct answer: 2. Obturator canal

Explanation: It descends through the fibers of the psoas major, and emerges from its medial border near the brim of pelvis; it then passes behind the common illaic artery and on the lateral side of the internal illiac artery and ureter, and runs along the lateral wall of the lesser pelvis, above and in front of the obturator vessel, to the upper part of the obturator foramen. Here it enters the thigh, through the obturator canal, and divides into an anterior and a posterior branch, which are separated at first by some of the fibers of the obturator externus, and lower down by the adductor brevis. ref -sciencedirect.com